Example for radiation induced cancer is:
1. Papillary carcinoma thyroid
2. Follicular carcinoma thyroid
3. Lymphoma
4. Hepatoma

Correct answer: 1. Papillary carcinoma thyroid